Most common cause of clicking
1. Disc displacement with reduction
2. Disc displacement without reduction
3. Hypermobility
4. Loose articular bodies

Correct answer: 1. Disc displacement with reduction